Which of the following antituberculosis drug is not given in pregnancy
1. Streptomycin
2. INH
3. Ethambutol
4. Rifampicin

Correct answer: 1. Streptomycin

Explanation: Ans. is 'a' i.e. Streptomycin "Streptomycin is contraindicated during pregnancy because it causes congenital deafness"Tuberculosis t/t in pregnancyIsoniazid, Rifampicin and pyrazinamide and ethambutol are safe to the fetus.Standslrd 6 month regimen of 2 HRZ+4HR should be given. Ethambutol should be added during late but not early pregnancy.The teratogenic effect of I.N.H. is not known therefore it is avoided in U.S.A.Treatment of the T.B. should not be withheld or delayed because of pregnancy.Of the many second-line antituberculous drug regimens, the aminoglycosides, streptomycin, kanamycin, amikacin and capreomycin are ototoxic to the fetus and are contraindicated during pregnancy.Tuberculosis t/t in breast feeding womenAll Anti T.B. drugs are compatible with breast feeding.Full course should be given to the mother, but the baby should be watched.The infant should receive BCG vaccination and isoniazid prophylaxis.The use and recommendations of antitubercular drugs are as follows :* AzithromycinNo evidence of risk* ClarithromycinRisk cannot be ruled out* EthambutolRisk cannot be ruled out* IsoniazidRisk cannot be ruled out* PyrazinamideRisk cannot be ruled out* RifabutinNo evidence of risk* RifampinRisk cannot be ruled out* RifapentineRisk cannot be ruled out* StreptomycinDefinitive evidence of risk